Prophaylaxis for malaria not used -
1. Doxycycline
2. Artesunate
3. Chloroquine
4. Mefloquine

Correct answer: 2. Artesunate

Explanation: Drugs for chemoprophylaxis of malaria include Chloroquine Proguanil Mefloquine Doxycycline Reference : Park's Textbook of preventive and social medicine, 24th edition.Pg no. 285